Which is not true about beclomethasone -
1. Indicated for chronic use
2. Inhalational steroid
3. Effective in acute asthma
4. Predispose to fungal infection

Correct answer: 3. Effective in acute asthma

Explanation: Ans. is 'c' i.e., Effective in acute asthma Inhaled steroids (like beclomethasome) have no role in acute asthma or in status asthmaticus. They are used in chronic asthma. All inhaled steroids predispose to fungal infection, i.e. oropharyngeal candidiasis.